The principal precursor of cholesterol is -
1. Citrate
2. Acetate
3. Glycerol
4. Lanosterol

Correct answer: 2. Acetate

Explanation: Acetate

All carbon atoms of cholesterol are derived from acetyl-CoA (activated acetate).

"Cholesterol is a C-27 compound. All its carbon atoms are provided by a single precursor, acetate". — Essential of biochemistry